Endemic cretinism is seen when Iodine uptake is less than?
1. 5 micro gram/day
2. 20 micro gram/day
3. 50 micro gram/day
4. 75 micro gram/day

Correct answer: 2. 20 micro gram/day

Explanation: ANSWER: (B) 20 micro gramREF: Park 20th edition page 540, WHO model formulary 2008 Page 499, http://www.unsystem. org/S CN/archives/npp 03/ch06.htmEndemic cretinism occurs in regions where goitre is widespread and severe and is associated with an iodine intake of less than 20 micrograms per day.It is now known that endemic cretinism is associated with high rates of goitre and with severe iodine deficiency; for example, with dietary iodine intakes of about or below 20 meg (micrograms) per day compared with a normal daily intake of 80-150 meg; while goitre alone is seen at intake levels below 50 meg iodine per day.By WHO standards, a population is iodine deficient when its average UIE (urine iodine excretion) falls below 50 microgramsThe recommended intake of iodine is: (WHO)Age groupRDA (daily)Adults150 microgramsPregnant and lactating women200 microgramsInfants50 microgramsChildren (2-6 years)90 microgramsChildren (7-12 years)120 micrograms